Carboprost, used for 2' trimester abortion, is analogue of ?
1. PGE2
2. PGF2a
3. PGI2
4. PGD2

Correct answer: 2. PGF2a

Explanation: Ans. is 'b' i.e., PGF2aCarboprost is a synthetic prostaglandin analogue of PGF2a (specifically, it is 15-methyl-PGF2a) with oxytocic properties.Carboprost induces contractions and can trigger abortion in early pregnancy. It also reduces postpartum bleeding.